Most sensitive index of recent transmission of malaria in community:
1. Spleen rate
2. Infant parasite rate
3. Annual parasite rate
4. Slide positivity rate

Correct answer: 2. Infant parasite rate

Explanation: Ans. is 'b'Annual parasite index measures incidence, spleen rate measures endemicity, ABER-Annual blood examination rate (index of operational efficiency) and SPR (slide positivity rate) - forecasting malaria and defining any area to be high risk or low risk.